Thalidomide is not used in
1. ENL
2. Bechet's syndrome
3. HIV associated Oral ulcers
4. HIV associated neuropathy

Correct answer: 4. HIV associated neuropathy

Explanation: D i.e. HIV associated neuropathy Peripheral neuropathy is a dose limiting toxicity of thalidomide & not a therapeutic indicationQ. It causes painful sensory ganglionopathy & axonal neuropathy. Indications of Thalidomide - Erythema nodosum leprosum (ENL)Q: Only FDA approved use for treatment of cutaneous manifestations . of moderate to severe ENL and for maintenance therapy for prevention and suppression of cutaneous manifestations of ENL recurrence. - Severe, recurrent apthous stomatitisQ, especially in AIDS patients is common off label use. - Behects syndromeQ - Chronic graft versus host disease. * HIV associated colitis and wasting, multiple myeloma, myelodysplasia, chronic idiopathic myelofibrosis, glucocoicosteroid refractory fistulosis-Chron's disease, sarcoidosis, prurigo, stomatitis are other rare uses.